Consumer protection act includes all, except ?
1. Passed in 1986
2. Decision within 3-6 months
3. ESI hospitals not included
4. Right to safety

Correct answer: 3. ESI hospitals not included

Explanation: Ans. is 'c' i.e., ESI hospitals not included Consumer protection act For the first time in India, the Consumer Protection Act 1986 provided consumers a forum for speedy redressal of their grievances against medical services. According to this act, the decision should be taken within 3-6 months. There is no court fee payment and the person can plead his own case. Recently even ESI hospitals have been brought within the ambit of this act. COPRA is a piece of comprehensive legislation and recognizes six rights of consumer:- Right to safety Right to be informed Right to choose Right to be heard Right to seek redressal Right to consumer education For medical negligence, complain can be given to MCI or can be filed in consumer court. MCI can take disciplinary action, e.g. temporary or permanent cancellation of registration of concerned doctor. But, MCI cannot punish a doctor or give a compensation. Consumer courts give compensation. The limits of consumer courts are:- District consumer court - Up to Rs. 20 lacs. State commission - Rs. 20 lacs to Rs. 1 crore. National commission - Above Rs. 1 crore.